VRF vertical root fracture primarily occurs in which direction?
1. Mesiodistal
2. Faciolingual
3. Coronal and extending apically
4. No primary direction

Correct answer: 2. Faciolingual